Alkaline douch solution of nose does not contain:
1. NaCI
2. Na biborate
3. NaHCO3
4. Glucose

Correct answer: 4. Glucose

Explanation: Ans. D Nasal irrigation and removal of crusts - warm normal saline or an alkaline solution made by Soda bicarbonate 1 part Sodium biborate 1 part Sodium chloride 2 parts in 280 ml of water Initially irrigation are done 2 or 3 times a day but later every 2 or 3 days is sufficient 25 % glucose in glycerine - nose is painted this inhibits the growth of proteolytic organisms which are responsible for foul smell.